MC cause of intermittent stridor in a 10-day-old child shortly after birth is:
1. Laryngomalacia
2. Foreign body
3. Vocal nodule
4. Hypertrophy of turbinate

Correct answer: 1. Laryngomalacia

Explanation: Laryngomalacia is the most common cause of inspiratory stridor in neonates. The stridor in case of laryngomalacia is not constantly present, rather it is intermittent. So laryngomalacia is also the M/C cause of intermittent stridor in neonates.